Gastric Lavage is contraindicated in poisoning -
1. Kerosene
2. Organophosphorus
3. Aresenic
4. Morphine

Correct answer: 1. Kerosene

Explanation: Gastric Lavage * Indications -- Conscious patient -- Ingestion of poison within 1 to 2 hour. * Contraindications -- Coma/convulsion/unconscious patient -- Impaired gag reflex -- Corrosive/volatile poison ingestion -- Marked hypothermia -- esophageal varices -- Significant electrolyte imbalance. * Complications -- Aspiration pneumonia -- Mallory Weiss tears -- Perforation of esophagus/stomach -- Laryngospasm -- Hypothermia -- Electrolyte imbalance * Procedure -- Protect airway -- Place patient on lateral position -- Tube should be passed orally -- Lubricate the inserting end of tube -- Use mouth gag -- The position of tube in stomach should be confirmed -- Lavage is carried out with saline or water. * Precautions -- Never embark on procedure as routine -- Do not do in non-toxic agent ingestion -- Obtain consent and explain procedure * Agents used -- Ewald tube -- Lavacuator -- Ryle's tube (in children) -- Boas tube REF:THE SYNOPSIS OF FORENSIC MEDICINE AND TOXICOLOGY:K S NARAYANA REDDY;PAGE NO 287